Drug of choice for Huntington's chorea is
1. Haloperidol
2. Chlorpromazine
3. Tetrabenazine
4. Donepezil

Correct answer: 3. Tetrabenazine

Explanation: Huntigton's chorea is characterized by dopaminergic overactivity and Tetrabenazine is a dopamine depleter which is the drug of choice for this condition.